Which type of composite is most useful in class V lesions in bruxism patients?
1. Packable composites due to increased viscosity
2. Microfilled due to low modulus of elasticity
3. Macrofilled due to low filler content
4. None of the above

Correct answer: 2. Microfilled due to low modulus of elasticity

Explanation: The low modulus of elasticity of microfilled composites allow them to flex with tooth and protect the bonding interface. This is most useful in bruxism, clenching and stressful occlusion where flexure forces are high.